All are seronegative (spondyloepiphyseal) arthritis with ocular manifestations, except -
1. Ankylospondilitis
2. Ritter's disease
3. Rheumatoid arthritis
4. Psoriatic arthritis

Correct answer: 3. Rheumatoid arthritis